Fracture of hyoid bone is indicative of:
1. Throttling
2. Suffocation
3. Choking
4. Hanging

Correct answer: 1. Throttling

Explanation: Ans. A: Throttling Due to its position, the hyoid bone is not susceptible to easy fracture. In a suspected case of murder, a fractured hyoid, with inward driving of its distal fragment, strongly indicates throttling or manual strangulation. However this is not the case in children and adolescents, where the hyoid bone is still flexible as ossification is yet to be completed.